Obliteration of left heart border in PA chest X-ray is suggestive of:
1. Lingular pathology
2. Left upper lobe lesion
3. Left hilar lymph nodes
4. Left lower lobe lesion

Correct answer: 1. Lingular pathology

Explanation: Ans. Lingular pathology